Parasites for which modified ZN stain is used ?
1. Isospora
2. Microsporidia
3. Plasmodium
4. Echinococcus

Correct answer: 1. Isospora

Explanation: Ans. is 'a' i.e., Isospora